Carbamoyl phosphate is used in-
1. Urea
2. Uric acid
3. Pyruvic acid
4. Stearic acid

Correct answer: 1. Urea

Explanation: Ans. is 'a' i.e., Urea o Carbamoyl phosphate is used in the synthesis of urea (urea cycle).Aspartate - NH. (or NH4+) + CO, + H,0 + 3 ATP - Fumarate + Urea + 2 ADP + 2Pi + AMP + PPio Kidney and intestine contribute to most of body arginine because they posses all the urea cycle enzymes except arginase.o Brain can synthesize urea from citrulline (AMU 93,AMC 90) but lacks enzyme for formation of citrulline from orthithine, i.e., ornithine transcarbamylase.o Thus neither brain nor kidney can form urea in significant amount.